A 50 year old male presents with malignant hypertension. the drug of choices
1. Sodium nitroprusside
2. Sublingual nifedipine
3. Furosemide
4. Enalapril

Correct answer: 1. Sodium nitroprusside

Explanation: It is a first choice drug for malignant hypertension Refer kDT 11e p185